EITor vibrio may be differentiated from classical vibrio by fact that EITor vibrio -
1. Agglutinate chicken and sheep erythrocytess
2. Resistant to classical phage IV
3. Resistant to polymyxin B-5 unit disc
4. All of the above

Correct answer: 4. All of the above

Explanation: Ans. is 'd' i.e., All of the above El Tor vibrio o It is much hardier than classical vibrios, capable of surviving in the environment much longer. o The severity of illness is much less, with a large proportion of mild and asymptomatic infections. o Mortality is low and the carrier rate is high. o Fewer secondary cases in affected families (secondry attack rate is less) - Park